Investigation of choice in traumatic paraplegia is:
1. MRI
2. CT scan
3. Ultrasound
4. Beta rays

Correct answer: 1. MRI

Explanation: Ans. MRI